A long a pleasant stimulus, noxious stimuli are given in the treatment of alcohol dependence or sexual disorder is which of the following type of behaviour therapy -
1. Negative reinforcement
2. Aversive therapy
3. Punishment
4. Flooding

Correct answer: 2. Aversive therapy

Explanation: Aversive stimulus (noxious stimulus) is given in both Aversion therapy and punishment. The difference is :-


Aversive therapy is a classical conditioning Aversive (noxious) stimulus is paired with pleasant stimulus (undesired behavior), i.e. noxious stimulus is given along with undesired behavior.
Punishment is an operant conditioning Aversive (noxious) stimulus is given after an undesired behavior.